Which of the following is not true regarding pyroptosis?
1. NOD-Like receptors play a major role in initiation of pyroptosis
2. It is caspase independent process
3. Cell membrane is damaged
4. Inflammation is present

Correct answer: 2. It is caspase independent process

Explanation: Capase 1 and Caspase 11 are involved in pyroptosis.
Unlike necroptosis, which is caspase independent.